All are true about Barrett's esophagus, EXCEPT:
1. Specialised columnar metaplasia
2. Major risk factor for adenocarcinoma esophagus
3. Screening endoscopy is required in all patients with GERD symptoms
4. Endoscopic biopsy is the gold standard for confirmation

Correct answer: 3. Screening endoscopy is required in all patients with GERD symptoms

Explanation: Barrett's Esophagus: 1. Barrett's esophagus is specialized columnar metaplasia that replaces the normal squamous mucosa of the distal esophagus. 2. It is a major risk factor for adenocarcinoma of the esophagus and is readily detected endoscopically. 3. A screening endoscopy for Barrett's esophagus may be considered in patients with a chronic history (>10 year) of GERD symptoms. 4. Endoscopic biopsy is the gold standard for confirmation of Barrett's esophagus. ALSO KNOW: Endoscopic therapies such as endoscopic mucosal resection (EMR), endoscopic submucosal dissection (ESD), photodynamic therapy (PDT), and radiofrequency ablation (RFA) are effective modalities for treatment of high-grade dysplasia and intramucosal cancer in Barrett's esophagus. Ref: Harrison, Edition-18, Page-2419.